Hyperextension of PIP and Flexion of DIP is seen in which deformity
1. Swan neck
2. Mallet finger
3. Lumbricals paralysis
4. Boutonniere's

Correct answer: 1. Swan neck